Burden to prove defense lies with the doctor in case of:
1. Mens rea
2. Res ipsa loquitor
3. Res juidicata
4. Respondeat superior

Correct answer: 2. Res ipsa loquitor

Explanation: Ans. Res ipsa loquitor